Endometrial cancer is associated with all EXCEPT:
1. Fibromyoma
2. Endometrial hyperplasia
3. Dysgerminoma
4. Granulosacell tumor

Correct answer: 3. Dysgerminoma

Explanation: ANSWER: (C)DysgerminomaREF: Shaw 14th ed p. 374Predisposing factors for endometrial carcinoma are:family historyhypertensionobesity1,late menopause/early menarchediabetesatypical endometrial hyperplasiaunopposed estrogen therapy1,HRTfibroidPCODFeminising ovarian tumoursNulliparitytamoxifen and radiation therapyMenstural irregularity and infertility1,